Intetion tremor, druken gait and scanning speech together point towards involvement of
1. Cerebellum
2. Cortex
3. Medulla
4. Micihreio

Correct answer: 1. Cerebellum

Explanation: Answer- A. CerebellumClinical features of Cerebellar lesions:Incordination of rapid alternating movements - dysdiadokokinesiaInaccuracy of purposeful movements - dysmetriaIrregular variations in the volume and rhythm ofspeech - scanning speechBroad based reeling gait - like a drunken sailorQuasirhythmical rocking of the head and trunk - titubationHypotoniaNystagmus